Carcinoid tumor in the appendix size 3.4 cm. The ideal treatment is:
1. Right hemicolectomy
2. Radiotherapy
3. Chemotherapy
4. Observation

Correct answer: 1. Right hemicolectomy

Explanation: Ans. (a) Right hemicolectomyRef: Sabiston 20th edition, Page 1308* For tumors at base of appendix and for tumors in appendix >2cm. Right hemicolectomy is the treatment of choice.